Most common site of Atherosclerotic aneurysm is
1. Aorta
2. Abdominal aorta
3. Thoracic aorta
4. Arch of aorta

Correct answer: 2. Abdominal aorta

Explanation: i.e. (Abdominal aorta): (406-Harsh Mohan 6th) (507-509-Robbins & Cotran 8th)* Most common site of Atherosclerotic aneurysm is-Abdominal aorta*** Most common site of Syphilic (Luetic) aneurysm is - Thorasic aorta (especially ascending part)**Thoracic aortic aneurysms are most commonly associated with Hypertension other causes Marfan and Leoys Dietz syndromes* Most common site of Dissecting aneurysm and Cystic Medial Necrosis is - AortaMost common cause of aneurysm of aortic arch = Atherosclerosis* Aneurysm of Takayasu arteritis affect == Aortic arch* MYCOTIC ANEURYSM - resulting from direct trauma to a vessel with secondary infections Most commonly occur in femoral arteries and less commonly in arteries of of the neck (1237-CMDT-2011)* Saccular (Berry) aneurysm - is the most common type of intracranial aneurysm. About 90% of saccular aneurysm are found near major arterial branch points in the anterior circulation*** Most common site of rupture of Abdominal aortic aneurysm is - Laterally in the left retroperitoneum (Postero-lateral wall Cleft)**